A woman receives a kidney transplant from her sister who is an identical twin. What type of graft is it
1. Allograft
2. Autograft
3. Xenograft
4. Isograft

Correct answer: 4. Isograft

Explanation: An autograft is a graft of tissue from one point to another of the same individual's body. An Isograft is a graft of tissue between two individuals who are genetically identical (i.e. monozygotic twins). Allograft is the transplantation of tissues, to a recipient from a genetically non-identical donor of the same species. Ref : Ananthanarayana textbook of Microbiology 9th edition Pgno : 183